The most potent analgesic agent is:
1. Fentanyl
2. Sufentanil
3. Remifentanil
4. Allentanil

Correct answer: 2. Sufentanil

Explanation: Sulfentanil is 5 times more potent than Fentanyl.Alfentanil and remifentanil are faster acting and recovery is rapid. Above three drugs are congeners of Fentanyl. Ref: KD Tripathi 8th ed.